One criteria for prudent diet?
1. Fat intake 35-40% of total energy
2. Dietary cholesterole < 300 mg/1000Kcal per day
3. Salt intake <10 g/day
4. Saturated futs < 10% of total energy

Correct answer: 4. Saturated futs < 10% of total energy

Explanation: Ans. is 'd' i.e., Saturated fats < 10% of total energy Dietary goals prescribed by WHO expert committee prudent diet 3 Dietary modification is the principal preventive strategy in the prevention of CHD. The WHO Expert Committee (1) considered the following dietary changes to be appropriate for high incidence populations. Reduction of fat intake to 20-30 percent of total energy intake Consumption of saturated fats must be limited to less than 10 percent of total energy intake, some of the reduction in saturated fat may be made up by mono and poly-unsaturated fats. A reduction of dietary cholesterol to below 100 mg per 1000 kcal per day. An increase in complex carbohydrate consumption (i.e. vegetables, fruits, whole grains and legumes) Avoidance of alcohol consumption, reduction of salt intake to 5 g daily or less. Other specific interventions as part of primordial prevention of coronary heart disease To achieve a smoke free society Reduction of Blood pressure through prudent diet. Regular exercise, weight control & cessation of smoking. Regular Physical Activity.